Cicatrising trachoma is seen in ?
1. Stage-1
2. Stage-2
3. Stage-3
4. Stage-4

Correct answer: 3. Stage-3

Explanation: Ans. is 'c' i.e., Stage-3 McCal Ian's classification-McCallan in 1908 divided the clinical course of trachoma into 4 stages Stage 1 (Incipient trachoma) Hyperaemia of palpebral Stage 2 (Established tracoma) Stage 3 (Cicatrising trachoma) Stage 4 (Healed trachoma) Immature follicle Appearance of mature follicle & conjunctiva papillae Scarring of palpebralconjunctiva Disease is cured or is not markable Mild superfecial punctate keratopathy Progressive corneal pannus Scars are easily visibleas white bands Necrosis Sequelae to cicatrisationcause symptoms Stage 2 is further subdivided into :- 2a (Ha) :- Presence of mature follicles b (Hb) :- Marked papillary hyperplasia